Glomerulonephritis is due to -
1. Type I hypersensitivity reaction
2. Type IV hypersensitivity reation
3. Immune complex deposition
4. Type V hypersensitivity reaction

Correct answer: 3. Immune complex deposition